The following drug is indicated in the treatment of pityriasis versicolar:
1. Ketoconazole.
2. Metronidazole.
3. Griseofulvin.
4. Chloroquine.

Correct answer: 1. Ketoconazole.

Explanation: Ans. is 'a' i.e. Ketoconazole T/T of Pityriasis versicolor -New t/t (Antifungal)Old t/tTopical|MiconazoleClotrimazoleEconazoleShampoo| 1. KetoconazoleOral| 1. ItraconazoleWhitfield's ointment (3% salicylic acid and 6% Benzoic acid)Selenium disulfide shampooSodium thiosulphate solution